A 14 year old girl on exposure to cold has pallor of extermities followed by pain and cyanosis. In later ages of life she is prone to develop ?
1. Systemic lupus erythematosis
2. Scleroderma
3. Rheumatoid arthritis
4. Histiocytosis

Correct answer: 2. Scleroderma

Explanation: The probable condition in this case is systemic sclerosis or scleroderma . Raynaud's phenomenon is a universal feature and can precede other features by many years in systemic sclerosis . Involvement of small blood vessels in the extremities may cause critical tissue ischaemia, leading to localised distal skin infarction and necrosis. Ref - Davidsons 23e p1037